Hormone sensitive lipase acts on:
1. Triglycerides
2. Cholesterol ester
3. Phospholipids
4. Gangliosides

Correct answer: 1. Triglycerides

Explanation: Ans. A. Triglycerides(Ref: Harper 31/e page 244)Stored triacylglycerol in adipose tissue is converted to 2-Monoacyl glycerol and fatty acid by hormone sensitive lipase.